Which of the following is the best marker to distinguish Thymoma from lymphoma?
1. CD19
2. Cytokeratin
3. CD79a
4. Laminin

Correct answer: 2. Cytokeratin

Explanation: Both thymoma and Lymphoma are common mediastinal tumors. But Thymoma has both Lymphocytic & Epithelial Component. Hence "Cytokeratin" which is a epithelial cell marker is best to distinguish it from Lymphoma.